Factors precipitating Hepatic encephalopathy include all EXCEPT
1. Infection
2. Magnesium Trisilicate therapy
3. Hypokalaemia
4. Gastrointestinal bleeding

Correct answer: 2. Magnesium Trisilicate therapy